'S' shape of dentinal tubule is due to:
1. Incremental deposition
2. Peritubular dentin
3. Crowding of odontoblasts
4. Due to excess amount of organic component

Correct answer: 3. Crowding of odontoblasts